What is not true about mitral valve prolapse?
1. Mitral valve leaflets have myxomatous degeneration
2. Associaed marfans syndrome is present in many patients
3. Most of the patients are asympatomatic
4. Diastolic mumrmur is present on auscultation

Correct answer: 4. Diastolic mumrmur is present on auscultation

Explanation: Ans. is 'd' i.e., Diastolic mumrmur is present on auscultationMitral valve prolapse syndrome or myxomatous degeneration of mitral valve* In mitral valve prolapse one or both mitral leaflets are floppy and prolapse or balloon back into the left atria during systole with or without mitral regurgitation.* It is one of the most common valvular disease in the industrialized world and it is estimated to affect 3% or more of adults in United States, most often young women.Pathology* In mitral valve prolapse the leaflets demonstrate myxomatous degeneration.* The basis for this change within the valve is unknown.* It is believed that some underlying devlopmental defect of connective tissue is associated with mitral valve prolapse.* Thus marfan's syndrome, a connective tissue disorder is seen in many patients with mitral valve prolapse.* Even in the absence of some well defined connective tissue disorder, in some individuals with mitral valve syndrome, there are some hints of systemic structural abnormality in connective tttissue such as scoliosis, straight back and high arched palate.Clinical features* Most patients with mitral valve prolapse are asymptomatic and the condition is discovered only on routine examination by the presence of a midsystolic click as an incidental finding on clinical examination.* In those cases where mitral regurgitaion occurs, there is a late, Systolic or sometimes holosystolic murmur.* Although the great majority of patients with mitral valve prolapse have no untoward effects approximately 3% develop one of the four serious complications.# Infective endocarditis# Mitral insufficiency (mitral regurgitation)# Stroke or other systemic infarct resulting from embolism of leaflet thrombi# Arrhythmias